Swelling of thyroid gland always move with deglutition except:
1. Retrosternal goitre.
2. Reidel's goitre.
3. Anaplastic carcinoma.
4. All of the above

Correct answer: 4. All of the above